Damage to pneumotaxic centre will cause?
1. Apneusis
2. Apnea
3. Slower breathing with greater tidal volume
4. Faster breathing with lesser tidal volume

Correct answer: 3. Slower breathing with greater tidal volume

Explanation: Ans. C Slower Breathing with greater tidal volumeRef: Ganong, 25th ed. pg. 656* Pneumotaxic center is dorsal pons which contains neurons active in active inspiration and expiration.* When this area is damaged respiration will become slower and tidal volume greater.